The hernia, which often simulates a peptic ulcer, is:
1. Umbilical hernia
2. Fatty hernia of the linea alba
3. Incisional hernia
4. Inguinal hernia

Correct answer: 2. Fatty hernia of the linea alba

Explanation: Epigastric hernia - A.K.A epigastric lipoma / fatty hernia of linea alba - Herniation of pre peritoneal fat - Due to defect in linea alba - Pain- Referred to epigastrium T/t - Excision of fat + closure - Size > 4 cm - mesh